A new drug is found to be highly lipid soluble. It is metabolism it is lower rate of 10% Per hour. On intravenous injection in produced general anaesthesia that lasts only for 15 minutes. The short duration of anaesthesia is due to
1. Metabolism of drug in liver
2. High plasma protein binding of the drug
3. Excretion of drug by kidney
4. Redistribution

Correct answer: 4. Redistribution

Explanation: Ref-KDT 6/e p19 Highly lipid soluble drugs like thiopentone are quickly distributed to the tissue having high blood supply (like brain). If the target organ is also having high blood supply, drug action will be very quick. This is the case with general anaesthetics like thiopentone. Now, the drug will be distributed to less vascular tissues like fat and muscle. Movement of the drug outside the brain results in the termination of its action. This is called redistribution.